Wof is long acting NSAID
1. Aspirin
2. Ibuprofen
3. Diclofenac
4. Piroxicam

Correct answer: 4. Piroxicam

Explanation: ENOLIC ACID DERIVATIVES (Oxicams) Piroxicam:- It is a long-acting potent NSAID with anti-inflammatory potency similar to indomethacin and good analgesic-antipyretic action. It is a nonselective, reversible inhibitor of COX; lowers PG concentration in synovial fluid and inhibits platelet aggregation--prolonging bleeding time. In addition, it decreases the production of IgM rheumatoid factor and leucocyte chemotaxis. Pharmacokinetics:- It is rapidly and completely absorbed: 99% plasma protein bound; largely metabolized in liver by hydroxylation and glucuronide conjugation; excreted in urine and bile; enterohepatic cycling occurs. Plasma t 1/2 is long nearly 2 days. (Due to enterohepatic circulation). Ref:- kd tripathi;pg num:-201